Degree of burns in a patient with blister formation is
1. 2nd degree superficial
2. 2nd degree deep
3. 1st degree burns
4. Full thickness burns

Correct answer: 1. 2nd degree superficial

Explanation: Blisters are formed when only papillary dermis is destroyed.